Cell type which lacks HLA antigen is -
1. Monocyte
2. Thrombocytes
3. Neutrophil
4. Red blood cell

Correct answer: 4. Red blood cell

Explanation: Class I products of the genes of the major histocompatibility complex (MHC), HLA-A, -B, and -C, are present on virtually all nucleated cells. Mature human red blood cells are not nucleated and do not generally have easily detectable HLA antigens, Reff: www.mayoclinin.com